The drug used in the treatment of cessation of smoking  & tobacco addiction
1. Vareniciline
2. Acamprosate
3. Baclofen
4. Naltrexone

Correct answer: 1. Vareniciline

Explanation: Vareniciline is a partial agonist at α4 β2 subtype of Nicotine receptor used to treat tobbacco addiction.